Which among the following is contraindicated in myasthenia patient?
1. Aminoglycosides
2. Sulphonamides
3. Penicillin
4. All

Correct answer: 1. Aminoglycosides

Explanation: Ref:KD Tripathi pharmacology 7th edition (page.no: 745) All aminoglycosides reduce ACh release from the motor nerve endings. They interfere with the mobilization of centrally located synaptic vesicles to fuse with the terminal membrane (probably by antagonizing Ca2+) as well as decrease the sensitivity of the muscle endplates to ACh. Myasthenic weakness is accentuated Aminoglycosides. Neuromuscular blockers should be used cautiously in patients receiving aminoglycosides.